In hashimoto's disease serum antibodies are mainly against -a)  Thyroid folliclesb)  Thyroxinec)  Thyroglobulinsd)  Iodine
1. a
2. bc
3. ac
4. b

Correct answer: 3. ac

Explanation: Hashimotos Thyroiditis -

Hashimoto's thyroiditis is an autoimmune disorder
It is the most common cause of primary hypothyroidism
It mainly affects middle aged females
Although it is primarily a disease of the middle aged females, it can occur in children and is a major cause of nonendemic goitre in children.
Pathogenesis -
Hashimoto's thyroiditis is an autoimmune disorder characterized by the presence of following IgG antibodies -


Antithyro globulin antibody   
Antimicrosomal antibody 
Antibody directed against a component of colloid
Antibody against TSH receptors


These antibodies do not correlate with severity of disease.

They have a diagnostic value